Unlocking of knee joint is done by which muscle?
1. Popliteus
2. Biceps femoris
3. Quadriceps
4. Gastrocnemeus

Correct answer: 1. Popliteus

Explanation: Ans. is 'a' i.e., Popliteus